Radionuclide scans are useful in following except:
1. GI bleed
2. Cholecystitis
3. Intraabdominal abscess
4. Local staging of tumors

Correct answer: 4. Local staging of tumors

Explanation: Ans. D. Local staging of tumorsa. Scintigraphy both evaluates structural abnormalities and quantifies luminal transit. Radionuclide bleeding scans localize bleeding sites in patients with brisk hemorrhage so that therapy with endoscopy, angiography, or surgery may be directed.b. Radiolabeled leukocyte scans can search for intraabdominal abscesses not visualized on CT.c. Biliary scintigraphy is complementary to ultrasound in the assessment of cholecystitis.d. Scintigraphy to quantify esophageal and gastric emptying are well established, while techniques to measure small- intestinal or colonic transit are less widely used.